NADA criteria are used to assess the presence or absence of heart diseases in children. Which of the following is not a minor NADA's criteria?
1. Abnormal ECG
2. Abnormal chest X ray
3. Abnormal blood pressure
4. Systolic heart murmur > grade III

Correct answer: 4. Systolic heart murmur > grade III

Explanation: Ans. D. Systolic heart murmur > grade IIINADAs criteria are often used for assessment of the presence of heart diseases in children. It includes both major and minor criteria. Presence of one major or two minor criteria increases the likelihood of the presence of heart disease in children.Major criteria include1. Systolic murmur > grade 32. Diastolic murmur3. Cyanosis4. Congestive heart failureMinor criteria includes1. Systolic murmur < grade 32. Abnormal 2nd heart sound3. Abnormal ECG4. Abnormal chest X ray5. Abnormal BP